Most common site for squamous cell ca. esophagus is
1. Upper third
2. Middle third
3. Lower third
4. Gastro-esophageal junction

Correct answer: 2. Middle third

Explanation: Ans. is 'b' i.e., Middle third Distribution of Squamous cell Ca Upper 1/3 10% Middle 1/3 60% Lower 1/3 30% (Values according to Sabiston 17/e, may be different in other texts but are approx. the same)